Trisomy 21 is -
1. Down's syndrome
2. Turner syndrome
3. Kleinfelter syndrome
4. Edward syndrome

Correct answer: 1. Down's syndrome

Explanation: Ans. is 'a' i.e., Dow n's syndrome Trisomy 21 is synonymous with down's syndrome and is the most common of the chromosomal disorders o Down's syndrome - Trisomy 21 o Edwards syndrome - Trisomy 18 o Patau syndrome - Trisomy 13 o Kleinfelter syndrome - 47XXY o Turner syndrome - 45 XO